Type IV respiratory failure best relates to which of the following?
1. Alveolar hypoventilation
2. Alveolar flooding
3. Hypoperfusion of respiratory muscles
4. Lung atelectasis

Correct answer: 3. Hypoperfusion of respiratory muscles

Explanation: TYPE IV RESPIRATORY FAILUREThis form results from hypoperfusion of respiratory muscles in patients in shock. Normally, respiratory muscles consume <5% of total cardiac output and oxygen delivery. Patients in shock often experience respiratory distress due to pulmonary edema (e.g., in cardiogenic shock), lactic acidosis, and anemia. In this setting, up to 40% of cardiac output may be distributed to the respiratory muscles. Intubation and mechanical ventilation can allow redistribution of the cardiac output away from the respiratory muscles and back to vital organs while the shock is treated.Ref: Harrison 19e pg: 1732